In which of the following conditions is a person held responsible for a crime-
1. Alcoholic paranoia
2. Delirium tremens
3. Voluntary drunkenness
4. Dhatura intoxication

Correct answer: 3. Voluntary drunkenness

Explanation: Voluntary intoxication is no excuse for the commission of crime. 85 IPC. Nothing is an offense done by a person who was Involuntary Intoxicated 86 IPC. Criminal act done after voluntary intoxication is an Offence